The primary auditory cortex lies primarily in which lobe of the cerebral cortex?
1. Limbic lobe
2. Occipital lobe
3. Parietal lobe
4. Temporal lobe

Correct answer: 4. Temporal lobe

Explanation: Most of the primary auditory cortex is in the temporal lobe, but the association auditory cortices  extend  over  much  of  the  insular lobe and even onto the lateral portion of the parietal lobe.